In chylomicrons, the Principle Apo-protein is:
1. Apo A-I
2. Apo A-II
3. Apo B-100
4. Apo B-48

Correct answer: 4. Apo B-48

Explanation: Apo B-48